Wimberger ring sign is present in:
1. Rickets
2. Scurvy
3. Secondary syphilis
4. Tuberculosis

Correct answer: 2. Scurvy

Explanation: Wimberger ring sign - seen in scurvy